What is bailey maneuver in patients with high risk of larygospasm:-
1. LMA is inserted just before reversal of patient after removing ETT.
2. During intubation and extubation LMA is used and intraoperative period ETT
3. The deflated LMA is placed behind the in situ ETT. The ETT is removed and the LMA is inflated
4. None of the above

Correct answer: 3. The deflated LMA is placed behind the in situ ETT. The ETT is removed and the LMA is inflated

Explanation: When patient has high risk of developing larygospasm baileys maneuvre can be practiced. In which the deflated Laryngeal Mask Airway is placed behind the in situ Endotracheal tube. The ETT is removed and the LMA is inflated.